Anaphylactic reaction caused by NSAIDs, all are true, except ?
1. Caused by All NSAIDs
2. COX-2 inhibitors are safe
3. Related to hypersensitivity reaction
4. Not related to inhibition of COX

Correct answer: 2. COX-2 inhibitors are safe

Explanation: Ans. is 'b' i.e., COX-2 inhibitors are safe(Ref: Clinical pharmacology 3d/e p.786)Anaphylactic reaction (anaphylaxis)It is dre to immediate (type-L) hypersensitivity involving cross linking of drug-specific IgE.Regardless of COX selectivity pattern, NSAIDs may function as haptens capable of inducing allergic sensitization.Thus, all COX inhibitors (nonselective or selective) can cause this reaction.